In which of the following clinical scenarios Anti D prophylaxis is not recommended?
1. Therapeutic termination of pregnancy by medical method in a 10weeks non sensitized RhD negative women
2. Medically managed ectopic pregnancy at 8 weeks in a non sensitized RhD negative women
3. Threatened miscarriage in a 13weeks non sensitized RhD negative women
4. Spontaneous miscarriage at 14weeks in a sensitized RhD negative women

Correct answer: 4. Spontaneous miscarriage at 14weeks in a sensitized RhD negative women

Explanation: * women who are already sensitized should not be given Anti D immunoglobulin Reference: Greentop guidelines no : 22